What will be the Glasgow Coma Scale (GCS) score for a head injury patient who opens eyes to painful stimulus, uses inappropriate words, and localizes pain?
1. 8
2. 10
3. 12
4. 14

Correct answer: 2. 10

Explanation: Glasgow Coma Scale (GCS) score for this patient is 10. (Score for eye opening to painful stimuli is 2,score for use of inappropriate words is 3,score for localizing of pain is 5 TOTAL:2+5+3=10) Ref: Greenberg's text-atlas of emergency medicine By Michael I. Greenberg, Page 54; Bailey Love 24th Editon, Page 201; Harrison's 17th Editon, Page 2601.